Which vitamin acts as a hormone-
1. Niacin
2. Pyridoxin
3. Vitamin D
4. Riboflavin

Correct answer: 3. Vitamin D

Explanation: Ans. is 'c' i.e., Vitamin D * Vitamin D and retinoic acid (Vitamin A) acts on endocrine intranuclear receptors and therefore are considered as hormonal Vitamin D.